Earliest radiological sign of Pulmonary Venous Hypertension in Chest X-ray is:
1. Cephalization of pulmonary vascularity
2. Pleural effusion
3. Kerley B lines
4. Alveolar pulmonary edema

Correct answer: 1. Cephalization of pulmonary vascularity

Explanation: The first radiographic sign of pulmonary venous hypertension is cephalization of the pulmonary vessels due to pulmonary vein and artery dilatation. In the normal individual, there is continuous passage of fluid from the pulmonary veins into adjacent interlobular lymphatics that return the fluid to the central mediastinal veins. If the lympatic reserve is overcome by increased transudate as a result of elevated pulmonary venous pressure, the interlobular septa are thickened and become visible radiographically. The first radiologic sign of pulmonary venous hypertension is cephalization of the pulmonary vessels. Ref: Atlas of Pulmonary Vascular Imaging By Conard Wittram, Page 51; Textbook of Radiology and Imaging By David Sutton, 5th Edition, Pages 288-89